Phase-I participants are
1. Patients
2. Volunteers
3. Selected patients
4. All of the above

Correct answer: 2. Volunteers

Explanation: (Volunteers)